A particular genetic disorder appears in three consecutive generations of a family without any sex predilection. It was also noticed that phenotypically normal family members were having healthy offspring . What is the pattern of inheritance in this disorder?
1. Autosomal recessive
2. Autosomal dominant
3. Mitochondrial inheritance
4. Uniparenteral disomy

Correct answer: 2. Autosomal dominant

Explanation: The pattern of inheritance in this disorder is autosomal dominant. Points in favour: Autosomal dominant disorders have a vertical mode of transmission (individuals of two generations are affected-Parent and children affected) Genetic disorder has appeared in three consecutive generations of a family without any sex predilection, and normal family members have healthy offspring. An affected individual has 50% chance of passing on the deleterious gene in each pregnancy Males and females are equally affected. Unaffected individuals donot pass on the disorder to their children Autosomal Dominant Ref: Nelson textbook of pediatrics 21st edition Pgno: 640